A person showing two cell lines derived from one zygote is
1. Chimerism
2. Mosaicism
3. Segregation
4. Pseudo-dominance

Correct answer: 2. Mosaicism